Best prognostic type of Hodgkin's lymphoma is ?
1. Lymphocytic predominant
2. Lymphocytic depletion
3. Mixed cellularity
4. Nodular sclerosis

Correct answer: 1. Lymphocytic predominant

Explanation: Ans. is 'a' i.e., Lymphocytic predominant Prognosis of hodgkin lymphoma mainly depends on the histological type and staging. o Histological type Best prognosis --> Lymphocytic predominent Worst prognosis ---> Lymphocytic depletion type